An 8 year old child after tonsillectomy sees a bear in her room. She screams in fright. A nurse who rushes in switches on the light, finds a rug wrapped on an armchair. She pacifies the child. What the child experienced was a:
1. Delusion
2. Illusion
3. Hallucination
4. None of the above

Correct answer: 2. Illusion

Explanation: B ref: Ahuja, 4th/e p. 13 and 5th/e p. 253